Which of the following non ionizing radiations is used in MRI-
1. Visible light
2. Microwaves
3. Infrared
4. Radio waves

Correct answer: 4. Radio waves

Explanation: MRI uses a magnetic field and radio waves to create detailed pictures of the body. Unlike CT scans or X-rays, MRI doesn't use Ionizing Radiation.